Receptor responsible for malignant hyperthermia is?
1. Nicotinic receptor
2. Ryanodine receptor
3. Muscarinic receptor
4. None

Correct answer: 2. Ryanodine receptor

Explanation: ANSWER: (B) Ryanodine receptorREF: Morgan 3ra e p. 869This condition is known by a number of names, including malignant hyperthermia (MH), malignant hyperthermia syndrome (MHS), and malignant hyperpyrexia.Signs and symptoms:The typical symptoms of malignant hyperthermia are due to a hyper catabolic state, which presents as a very high temperature, an increased heart rate and breathing rate, increased carbon dioxide production, increased oxygen consumption, acidosis, rigid muscles, and rhabdomyolysis.The symptoms usually develop within one hour after exposure to trigger substances, but may even occur several hours later in rare instances.Causes:Volatile anesthetic gases Local anesthetics Depolarizing muscle 1 relaxantshalothane, sevoflurane, desfluranelidocaine, bupivicaine, mepivacainesuccinylcholineOtherOpiates (morphine, fentanyl), ketamine, barbiturates, nitrous oxide, propofol, etomidate, benzodiazepinesGenetics:Malignant hyperthermias inheritance is autosomal dominant. The defect is typically located on the long arm of the nineteenth chromosome (19ql3.1) involving the ryanodine receptor.